The murmur of hypertrophic obstructive cardiomyopathy is decreased in which of the following:
1. Supine position
2. Standing position
3. Valsalva maneuver
4. Amyl nitrate inhalation

Correct answer: 1. Supine position

Explanation: Answer is A (Supine position) Condition which increase obstruction & intensity of murmur Factors that increase myocardial contractility ExerciseQ Sympathomimetic Aminese Digitalis Glycosidese Factors which decrease Ventricular volume Valsalva maneuverQ Sudden standing0 Nitroglycerines Amyl nitrites Tachycardiac Decreased aortic impedance & afterload: Conditions which decrease obstruction & intensity of murmur Factors that decrease myocardial contractility B blockers calcium channel blockers Factors which increase Ventricular volume Augmentation of venous return by passive leg raisinge Expansion of Blood Volumee Supine PositionQ Increased aortic impedance & afterload: Elevation of Arterial pressure by phenylephrinee Sustained hand gripe Squatting